What is the function of DNA ligase?
1. Unwinding (denaturation) of dsDNA to provide as ssDNA template
2. Seals the single strand nick between the nascent chain and Okazaki fragments on lagging strand
3. Initiation of DNA synthesis and elongation
4. Initiates synthesis of RNA primers

Correct answer: 2. Seals the single strand nick between the nascent chain and Okazaki fragments on lagging strand

Explanation: DNA ligase Seals the single strand nick between the nascent chain and Okazaki fragments on lagging strandRef: Harpers Illustrated Biochemistry, 30th edition, page no: 382